Edema in nephrotic syndrome is due to aEUR'
1. Na and water restriction
2. Increased venous pressure
3. Hypoalbuminemia
4. Hyperlipidemia

Correct answer: 3. Hypoalbuminemia

Explanation: Hypoalbuminemia Edema is one of the major clinical manifestations of nephritic syndrome. Two major factors have been thought to be responsible for this problem and it is likely that both contribute to a variable decree in individual patients. i) Low colloid oncotic pressure :? - In nephrotic syndrome the initial event is a derangement in the capillary walls of glomeruli resulting in increased permeability to plasma proteins. - The increased permeability allows protein to escape from plasma to glomerular filtrate. Long standing loss of protein leads to hypoalbuntinemia. - The loss of protein (albumin) leads to reduced colloid oncotic pressure. Fluids are held in the intravascular compartment because of the colloid oncotic pressure. When the colloid oncotic pressure is reduced the fluid cannot be retained in the intravascular compartment and moves out in the interstitial fluid producing edema. ii)Sodium retention directly induced by renal disease.